All of the following conditions are acquired causes of iron overload, EXCEPT:
1. Sideroblastic anemia
2. Chronic Hepatitis C
3. Nonalcoholic steatohepatitis
4. Hypothyriodism

Correct answer: 4. Hypothyriodism

Explanation: These are some of the important examples of Acquired Iron Overload Iron-loading anemias Chronic hemolytic anemia Chronic liver disease Thalassemia major Sideroblastic anemia Chronic Hepatitis C Alcoholic cirrhosis, especially when advanced Nonalcoholic steatohepatitis Porphyria cutanea tarda Dysmetabolic iron overload syndrome Post-portacaval shunting Aceruloplasminemia Congenital atransferrinemia Ref: Harrison, Edition-18, Page-3162.